The school health programme that incorporates motivation of patients through home visits is
1. Askov Dental Demonstration
2. North Carolina State-wide Preventive Dental Health Programme
3. Tattle Tooth Programme
4. School Health Additional Referral Programme (SHARP)

Correct answer: 4. School Health Additional Referral Programme (SHARP)